Which of the following induces apoptosis in a cell?
1. Oleic acid
2. Glucocorticoids
3. Isoprenoids
4. Myristic acid

Correct answer: 2. Glucocorticoids

Explanation: Ans. b. Glucocorticoids (Ref: Underwood Pathology 5e/p 78)Glucocorticoids induce apoptosis in a cell.Inducers of apoptosis are growth factor withdrawal, detachment from matrix, glucocorticoids, cytotoxic drugs and immune cytolysis.ApoptosisInducers of apoptosis:Growth factor withdrawal Detachment from matrixGlucocorticoidsCytotoxic drugsImmune cytolysisOut of these, glucocorticoids are also potent inducers of apoptosis in many cells types and tissues.Glucocorticoid-induced apoptosis affects the skeletal system, muscular system, circulatory system, nervous system, endocrine system, endocrine system and immune system.Oleic acid promotes lipid droplets and induced autophagy but minimal effects on apoptosis.